Increasing the concentration of norepinephrine in adrenergic synapses leads to
1. Activation of tyrosine hydroxylase
2. Activation of dopa decarboxylase
3. Increased release of norepinephrine
4. Activation of presynaptic Gi (C) coupled receptors

Correct answer: 4. Activation of presynaptic Gi (C) coupled receptors

Explanation: Classification:- Adrenergic receptors are classified into two types a and b. The a receptors were demonstrated to be present prejunctionally as well. To differentiate these release inhibitory prejunctional a receptors, a subdivision into a1 and a2 was suggested. b receptors were further subdivided into b1, b2, beta 3subtypes. Alpha2 receptor is located prejunctionally and inhibits the release of neurotransmitter. Ref:- kd tripathi; pg num:-126,127